Crude birth rate denominator is -
1. Total no of live births in that year
2. 1000 live births
3. Total number of births
4. Mid year population

Correct answer: 4. Mid year population

Explanation: Crude birth rate= Number of live births in a year per 1000 mid-year population. Reference:Park's textbook of preventive and social medicine,K.Park,23rd edition,page no:488.